Elemental iron and folic acid contents of pediatric iron folic acid tablets supplied under Rural Child Health (RCH) programme are -
1. 20 mg iron and 100 microgram folic acid
2. 40 mg iron and 100 microgram folic acid
3. 40 mg iron and 50 microgram folic acid
4. 60 mg iron and 100 microgram folic acid

Correct answer: 1. 20 mg iron and 100 microgram folic acid

Explanation: One tablet contain 20mg of elemental iron and 0.1mg of Folic acid. REF. PARK'S TEXTBOOK OF PREVENTIVE AND SOCIAL MEDICAL 21ST EDITION. PAGE NO - 643